Normal to increased kidney size is seen in all of the following except:
1. Diabetic nephropathy
2. Polycystic kidney
3. AIDS related nephropathy
4. Chronic glomerulonephritis

Correct answer: 4. Chronic glomerulonephritis

Explanation: Ans. D: Chronic glomerulonephritis Chronic kidney disease is long-standing, progressive deterioration of renal function. Symptoms develop slowly and include anorexia, nausea, vomiting, stomatitis, nocturia, lassitude, fatigue, pruritus, decreased mental acuity, muscle twitches and cramps, water retention, under nutrition, GI ulceration and bleeding, peripheral neuropathies, and seizures. Diagnosis is based on laboratory testing of renal function, sometimes followed by renal biopsy. Patients with chronic renal failure have small shrunken kidneys (usually < 10 cm in length) with thinned, hyperechoic cortex. Treatment is primarily directed at the underlying condition but includes fluid and electrolyte management, erythropoietin for anemia, and often dialysis or transplantation.